Which of the following infectious disease is treated using multidrug therapy?
1. Syphilis
2. Leprosy
3. Typhoid
4. None of the above

Correct answer: 2. Leprosy

Explanation: Among the options given in the question, multidrug therapy is indicated in the treatment of leprosy. Rifampicin, Dapsone and Clofazimine are drugs used in its treatment. Reference: Essentials of Medical Pharmacology by K D Tripathi, 5e page 713.